H.pylori elimination confirmation test -
1. Urea breath test
2. Culture
3. Serological test
4. Biopsy urease test

Correct answer: 1. Urea breath test

Explanation: Davidson's principles and practice of medicine 22nd edition. *urea breath test is highly specific and sensitive.breath tests are best because of accuracy simplicity and non invasiveness.